ENT examination of an old man shows roomy nasal cavities, crust formation and woody hard external nose; which are seen in:
1. Rhinoscleroma
2. Rhinosporidiosis
3. Atrophic rhinitis
4. None of the above

Correct answer: 1. Rhinoscleroma

Explanation: Rhinoscleroma: It is a rare, chronic progressive granulomatous disease of the upper respiratory tract caused by Klebsiella rhinoscleromatis.